Dose of drug require no or minor adjustment in renal failure, except -
1. Doxycycline
2. Vancomycin
3. Chloramphenicol
4. Clindamycin

Correct answer: 2. Vancomycin

Explanation: Ans. is 'b' i.e., Vancomycin o Vancomycin causes renal toxicity which is dose related therefore significant dose reduction is needed in renal failure. o Rest of the drugs asked in the question are metabolised mainly in liver therefore no adjustment needed in renal failure.